Treatment for methotrexate poisoning
1. Dietary folic acid
2. Niacin
3. Folinic acid
4. Biotin

Correct answer: 3. Folinic acid

Explanation: Methotrexate poisoning: The toxicity of Mtx cannot be overcome by folic acid, because it will not be converted to the active coenzyme form(due to inhibition of DHFA reductase by Mtx) Treatment:- Folinic acid (N5 formyl THFA, cirovorum factor) rapidly reverses the effects. Thymidine also counteracts Mtx toxicity. Ref:- kd tripathi; pg num:- 862